Tensors of vocal cord are
1. Posterior cricothyroid, internal interarytenoid
2. Lateral cricothyroid, internal interarytenoid 1
3. Thyroarytenoid, internal interarytenoid
4. Cricothyroid and internal thyroarytenoid

Correct answer: 4. Cricothyroid and internal thyroarytenoid

Explanation: Intrinsic muscles acting on vocal cords: Abductors: Posterior cricoarytenoid Adductors: Lateral cricoarytenoid, lnterarytenoid (transverse arytenoid) Thyroarytenoid (external part) Tensors: Cricothyroid, Vocalis (internal part of thyroarytenoid) Intrinsic muscles acting on laryngeal inlet: Openers of laryngeal inlet: Thyroepiglottic (part of thyroarytenoid) Closers of laryingeal inlet: Interarytenoid (oblique part), Aryepiglottic (posterior oblique part of interarytenoids)